Hyperlipidemias are treated by administering the following vitamin in megadoses
1. B12
2. Folate
3. Thiamine
4. Niacin

Correct answer: 4. Niacin

Explanation: High doses of niacin are effective in lowering serum triglyceride, low-density lipoprotein, and lipoprotein-a levels and in elevating high-density lipoprotein levels. In high doses, Niacin causes dilatation of blood vessels and flushing, along with skin irritation. Intakes of both nicotinic acid and nicotinamide in excess of 500 mg/d also cause liver damage.Harper 30th edition Pg: 557